Which of the following anti-retroviral drugs does not cause peripheral neuropathy?
1. Lamivudine
2. Stavudine
3. Didanosine
4. Zalcitabine

Correct answer: 1. Lamivudine

Explanation: Ans. A. Lamivudinea. Peripheral neuropathy (PN) is a well-known adverse effect of NRTIs, mainly Zalcitabine, didanosine and stavudine. Several studies have shown that PN is more frequent when didanosine and stavudine are used in combinationb. Emtricitabine and lamivudine are safest NRTIs. These are not associated with peripheral neuropathy or pancreatitis.